All of the local anaesthetics given below are amides, EXCEPT:
1. Lignocaine
2. Procaine
3. Prilocaine
4. Etidocaine

Correct answer: 2. Procaine

Explanation: Clinical local anesthetics belong to one of two classes: aminoamide and aminoester local anesthetics. Procaine is an ester anaesthetic. The members of Amide group are: Articaine Bupivacaine Cinchocaine/Dibucaine Etidocaine Levobupivacaine Lidocaine/Lignocaine Mepivacaine Prilocaine Ropivacaine Trimecaine